Paltauf’s hemorrhage may be seen in:
1. Hanging
2. Snake bite
3. Rape
4. Drowning.

Correct answer: 4. Drowning.

Explanation: In drowning, fluid actually penetrates alveolar wall to enter tissues & the blood vessels. The alveolar wall may rupture due to increased pressure during the forced expiration & produce hemorrhage which when presents subpleurally is called Paltauf's hemorrhage. Paltauf’s hemorrhages are shining, pale bluish red, & maybe minute or 3 to 5 cm in diameter.